Pyruvate dehydrogenase multienzyme complex carries out all the following reactions EXCEPT:
1. A decarboxylation reaction
2. Produce a molecule of ATP
3. Produce an acetyl group from pyruvate
4. Combine the acetyl group with a cofactor

Correct answer: 2. Produce a molecule of ATP

Explanation: PDH reaction Oxidative decarboxylation reaction (option a is correct) Pyruvate is converted to acetyl-CoA - (option c is correct) Acetyl group is combined with CoA cofactor - (option d is correct) NADH is produced in PDH reaction. No substrate level production of ATP - (option b is wrong)